Intra uterine hydronephrosis of 32-34 weeks- management-
1. Intrauterine drainage
2. Wait until 3 weeks
3. Immediate delivery
4. Require serial USG and other associated anomalies

Correct answer: 4. Require serial USG and other associated anomalies

Explanation: Am. is 'd' i.e., Require serial USG and other associated anomalies o Antenatal hydronephrosis (ANH) is transient and resolves by the third trimester in almost one-half cases,o The presence of oligohydramnios and additional renal or extrarenal anomalies suggests significant pathology,o All patients with ANH should undergo postnatal ultrasonographyo The intensity of subsequent evaluation depends on anteroposterior diameter (APD) of the renal pelvis and/or Society for Fetal Urology (SFU) grading.o Patients wiih postnatal APD exceeding 10 mm and/or SFU grade 3-4 should be screened for upper or lower urinary tract obstruction and vesicoureteric reflux.o Surgery is considered in patients with increasing renal pelvic APD and/or an obstructed renogram with differential renal function <35-40% or its subsequent decline.